Contents of Adductor canal are all EXCEPT:
1. Femoral artery
2. Popliteal artery
3. Nerve to Vastus medialis
4. Saphenous nerve

Correct answer: 2. Popliteal artery

Explanation: ANSWER: (B) Popliteal arteryREF: Gray's anatomy 39t>L edition page 1464Repeat from DNB December 2009THE ADDUCTOR CANAL (Subsartorial/Hunter's canal) is an aponeurotic tunnel in the middle third of the thigh, extending from the apex of the femoral triangle to the opening in the Adductor magnus, the Adductor hiatus.Boundaries:* Anteriorly and laterally:Vastus medialis* Posteriorly:Adductor longus and the Adductor Magnus* Roof and medially:SartoriusContents:Femoral arteryFemoral veinFemoral nerve branches (specifically, the saphenous nerve, and the nerve to the Vastus medialis)Three foramina: superior, anterior and inferior(Femoral artery, femoral vein and saphenous nerve go into this canal through superior foramen. Saphenous nerve and artery exit through anterior foramen. Finally, femoral artery and vein exit via the inferior foramen (usually called hiatus) through gap between adductor magnus)